All of the following are true about fetal circulation EXCEPT?
1. Pulmonary vascular resistance is low
2. Umbilical arteries carry deoxygenated blood
3. Lungs are collapsed and filled with fluid
4. source of oxygen in fetal circulation is placenta

Correct answer: 1. Pulmonary vascular resistance is low

Explanation: Components of Fetal circulation: - placenta --> source of oxygen As placenta provides gas exchange for fetus, lungs are collapsed & filled with fluid exhibiting high pulmonary vascular resistance Thus, very little blood flows to lungs - Ductus venosus --> provide low resistance bypass for umbilical venous blood to reach Inferior Vena Cava - Ductus arteriosus --> Allow right ventricular blood to reach descending aorta, since lungs are non-functioning - Foramen ovale --> Enables oxygenated blood to reach left atrium & ventricles for distribution to heart & brain. - Umbilical vein--> carry oxygenated blood from placenta towards fetus - umbilical arteries --> carry deoxygenated blood from fetus to placenta Fetal circulation: